The location of schatzki's ring is
1. Lower end of pharynx
2. Upper end of esophagus
3. Lower end of esophagus
4. Antrum of stomach

Correct answer: 3. Lower end of esophagus

Explanation: SCHATZKI'S RING It occurs at the junction of squamous and columnar epithelium at the lower end of oesophagus and has also been called lower oesophageal ring. Usually seen in patients above 50 years of age. Cause is unknown. Symptomatic patients complain of intermittent dysphagia and some may even present with bolus obstruction. It may be associated with hiatus hernia. Treatment is oesophageal dilatation. Ref:- Dhingra; pg num:-345